what is true regarding JUMPERS KNEE ?
1. Apophysitis of patellar tendon as it inserts in patella
2. Apophysitis of patella tendon as it inserts in tibia
3. Apophysitis of quadriceps tendon as it inserts in patella
4. Apophysitis of hamstring tendon as it inserts in tibia

Correct answer: 1. Apophysitis of patellar tendon as it inserts in patella

Explanation: Jumper's knee- *It is also called patellar tendinitis *This is an apophysitis (inflammation) of the patellar tendon as it inserts into the patella. *It is associated with pain, swelling and crepitus. *Conservative management with physiotherapy is the mainstay of treatment. Surgery is rarely required. Ref: maheswari 9th ed